Blood supply of medial surface of cerebral hemispheres is from?
1. Anterior cerebral artery
2. Posterior cerebral artery
3. Middle cerebral artery
4. Vertebral artery

Correct answer: 1. Anterior cerebral artery

Explanation: Most of the medial surface of brain is supplied by anterior cerebral artery except * temporal pole- middle cerebral artery * occipital lobe- posterior cerebral artery (Ref: vishram singh textbook of clinical neuroanatomy ,second edition of pg-178)